The following statements regarding growth hormone are true, except
1. It has lower the blood sugar levels if present in excess amount.
2. It has a strong anabolic action.
3. Dopaminergic agonists depress it's release in pituitary adenomas.
4. It's action is mediated by IGF-1.

Correct answer: 1. It has lower the blood sugar levels if present in excess amount.

Explanation: Growth hormone is synthesized and secreted by the anterior pituitary. It affects the growth of every tissue and organ. It serves anabolic function by increasing the transport of amino acids and stimulates intracellular protein synthesis. Dopaminergic agents cause a brief increase in growth hormone release in normal subjects but have a paradoxical effect in patients with pituitary adenomas. The stem cells in the tumour express the dopaminergic regulation of lactotropes rather than of somatotropes. In many tissues, it acts through insulin like growth factor-1 by causing hyperplasia. It increases hepatic glucose output; decreases glucose utilization and increases lipolysis, thus raises blood sugar levels.